Exchange of substances between blood cells in the hepatocytes occurs in which of the following sites?
1. Kupffer cells
2. Space of Mall
3. Space of Disse
4. Lumen of Sinusoids

Correct answer: 3. Space of Disse

Explanation: Space of Disse (or perisinusoidal) is a small space line between the basal surface of the hepatocytes in the basal surface of the endothelial cells (or Kupffer cells) that line the sinusoids. The basal surface of the hepatocytes are either highly infolded, or sometimes possess basal microvilli to aid in the exchange of materials between blood cells and the hepatocytes. Ref: Barrett K.E., Barman S.M., Boitano S., Brooks H.L. (2012). Chapter 28. Transport & Metabolic Functions of the Liver. In K.E. Barrett, S.M. Barman, S. Boitano, H.L. Brooks (Eds), Ganong's Review of Medical Physiology, 24e.